The vitamin which can be used for treatment of hypercholesterolemia is-
1. Thiamine
2. Niacin
3. Pyridoxine
4. None

Correct answer: 2. Niacin

Explanation: Ans. is 'b' i.e., Niacin o Niacin (nicotinic acid) is used as a hypolipidemic drug.